Which one of the following drugs does not undergo hepatic first-pass effect ?
1. Propranolol
2. Lidocaine
3. Insulin
4. Morphine

Correct answer: 3. Insulin

Explanation: - Except for Insulin, all the three options undergo high first pass metabolism.